Hepatotoxic inhalational agent ?
1. Halothane
2. Enflurane
3. Desflurane
4. Sevoflurane

Correct answer: 1. Halothane

Explanation: Ans. is 'a' i.e., Halothane All inhalational agent cause mild hepatotoxicity by decreasing hepatic blood flow. Isoflurane is the agent of choice in liver disease as it has least effect on Hepatic blood flow. Direct hepatotoxicity (Hepatitis,Hepatic necrosis) is caused by :- Halothane, Chloroform, trilene, methoxyflurane